Which of the following is false about Behcet's Syndrome
1. HLA-B51 association
2. Superificial or deep peripheral vein thrombosis
3. Pathergy test positive
4. Recurrent genital ulcer is a hallmark diagnostic Criteria

Correct answer: 4. Recurrent genital ulcer is a hallmark diagnostic Criteria

Explanation: Recurrent oral ulcer is a hallmark Criteria.